The HLA class III region genes are important elements in
1. Transplant rejection phenomenon
2. Antigen presentation and elimination
3. Immune surveillance
4. Governing susceptibility to autoimmune diseases

Correct answer: 4. Governing susceptibility to autoimmune diseases

Explanation: *HLA class III region contains genes for early complement components C2 and C4 of classical pathway.
*Deficiency of these early components of the classical pathway viz C1, C2 and C4 is associated with autoimmune diseases like SLE and other collagen vascular diseases.
• These genes are thus, important in regulating susceptibility to autoimmune disease
• Class III genes do not participate in MHC restriction or graft rejection components.